An 82-year-old man has profound bleeding from a peptic ulcer and dies of hypovolemic shock. The liver at autopsy displays centrilobular necrosis. Compared to viable hepatocytes, the necrotic cells contain higher intracellular concentrations of which of the following?
1. Calcium
2. Cobalt
3. Copper
4. Iron

Correct answer: 1. Calcium

Explanation: A: Calcium. Coagulative necrosis is characterized by a massive influx of calcium into the cell. Irreversible cell injury damages the plasma membrane, which then fails to maintain this gradient, allowing the influx of calcium into the cell. The other choices would most likely be released upon cell death.Diagnosis: Coagulative necrosis